All are anterior relations of Right kidney EXCEPT
1. Adrenal gland
2. 4th part of duodenum
3. Liver
4. Hepatic flexure of colon

Correct answer: 2. 4th part of duodenum

Explanation: Relations of anterior kidney- 1. Liver 2. Adrenal gland 3. Duodenum(second part) 4. Hepatic flexure of colon. 5.Hepato renal pouch of Morris so 4th part of duodenum is the answer.